All of the following are example of definite airways,except –
1. Nasotracheal tube
2. Orotracheal tube
3. Laryngeal Mask airway
4. Cricothyroidotomy

Correct answer: 3. Laryngeal Mask airway

Explanation: Definite airways (that protect from aspiration) are :- Endotracheal intubation (oro-tracheal or naso-tracheal) and Surgical airways (tracheostomy, cricothyroidotomy).
Airways that are not definite (do not adequately protect from aspiration) are :- Nasopharyngeal airway, oropharyngeal airway, LMA.